Which of the following drugs undergoes "Hoffmann elimination"?
1. d-tubercurarine
2. Acetylcholine
3. Atracurium
4. Acetazolamide

Correct answer: 3. Atracurium